Granulomatous disease (s) is/are -a) Lichen planusb) Histoplasmosisc) 
 Sarcoidosis d) Asbestosis
1. a
2. c
3. bc
4. ad

Correct answer: 3. bc